Which is a long acting insulin?
1. Lispro
2. Aspart
3. Glargine
4. Glulicine

Correct answer: 3. Glargine

Explanation: Ans. is 'c' i.e., Glargine